In tandem bullet, number of bullet/bullets comingout of the gun is/are
1. 1
2. 2
3. 3
4. 4

Correct answer: 2. 2

Explanation: 2 [Ref: Parikh 6/e, p 4.26; Reddy, 25/e, p 1961 Tandem bullets: also k/a piggiback bullets are 2 bullets ejected one after the other, when the first bullet, having been stuck in the barrel, fails to leave the barrel, and is ejected by the subsequently fired bullet. The bullets may separate within the body, or before they hit the target. Also know Tandem or Duplex cartridge: here the gun fires two bullets simultaneously which have different projectiles by design and enter the target at different points. Frangible bullets: there bullets are designed to fragment upon impact. often to the point of disintegration. Recovery and matching with a test bullet is difficult. Souvenir bullets: a bullet present for a long time in the body leading to dense fibrous tissue formation around it. Dum-dum bullet: is a jacketed bullet with its nose cut-off to expose the core. Ricochet bullet: its a single bullet which strikes some intervening object first and then after ricocheting and rebounding strikes the target. Yawning bullet: bullet travelling in an irregular fashion instead of travelling nose on.